All of the following nerves pass through Jugular foramen except -
1. 9th
2. 10th
3. 11th
4. 12th

Correct answer: 4. 12th

Explanation: Structures passing through jugular foramen :-


Anterior part :- Inferior petrosal sinus
Middle part :- Glossopharyngeal (IX) nerve, vagus (X) nerve, accessory (XI) nerve
Posterior part :- Sigmoid sinus continues as internal jugular vein (Sigmoid sinus- IJV junction), meningeal branch of occipital artery.